Along with insulin which is produced from beta cells of the pancreas? (REPEAT)
1. Amylin
2. C peptide
3. Both
4. None

Correct answer: 3. Both

Explanation: Amylin and c peptide are produced from beta cells of the pancreas in 1:1 ratio.